Dusky hue of vestibule and ant vaginal wall is
1. Chadwick sign
2. Osiandersign
3. Goodel sign
4. Hegar sign

Correct answer: 1. Chadwick sign

Explanation: Ans. (a) Chadwick sign